Stability of ankle joint is maintained by the following except
1. Cruciate ligaments
2. Collateral ligaments
3. Tendons of muscles attached
4. Close approximation of articular surfaces

Correct answer: 1. Cruciate ligaments

Explanation: Cruciate ligaments does not give stability to ankle joint.
Ankle joint stability is provided by 
-        Close articulation of tibia, fibula and talus.
-        Collateral ligaments- Lateral collateral ligament, medial collateral ligament (Deltoid ligament), syndesmotic ligament.
-        Tendons crossing the joint
Fibrous capsule